Drug of choice  for hypertension with osteoporosis:
1. ACE inhibitors
2. Beta-blockers
3. Thiazide diuretics
4. Loop diuretics

Correct answer: 3. Thiazide diuretics

Explanation: Thiazide diuretics open K+ channels and lead to direct vasodilation along with diuretic action. It also increases calcium absorption and hence used in hypertension with osteoporosis.